A patient presents with secondaries to the adrenals. The most common site of primary is -
1. Lung
2. Kidney
3. Breast
4. Stomach

Correct answer: 1. Lung